Which of the following is the most common abnormality in ECG manifestation of pulmonary embolism?
1. T wave inversion VI to V4
2. Sinus bradycardia
3. U wave
4. S1Q3T3 pattern

Correct answer: 1. T wave inversion VI to V4

Explanation: Ans. is 'a' i.e., T wave inversion VI to V4 ECG findings in Pulmonary embolism include* Sinus tachycardia* S1Q3T3 sign: an S wave in lead I, a Q wave in lead III, and an inverted T wave in lead III. This finding is relatively specific but insensitive.* T-wave inversion in leads V1 to V4.* Perhaps the most common abnormality is T-wave inversion in leads V1 to V4.